Good prognostic factor in schizophrenia is
1. Early age of appearance
2. Male sex
3. Presence of negative symptoms
4. Precipitating factors

Correct answer: 4. Precipitating factors

Explanation: Prognostic factors in Schizophrenia Good Prognosis Poor Prognosis Age* Late onset Young onset Sex Female male Precipitating factors present Absent Mode of onset Acute onset Insidious onset Premorbid functioning Good social, sexual, and work histories Poor social, sexual, and work histories Affective symptoms* Mood disorder symptoms (especially depressive disorders) Withdrawn, autistic behaviour Marital status Married Single, divorced, or widowed Family h/o* Family history of the mood disorders Family history of schizophrenia Support systems Good Poor Symptoms * Positive symptoms Negative symptomsNeurological signs and symptomsHistory of perinatal traumaNo remissions in 3 yearsMany relapsesHistory of assaultiveness Reference: P.476 chap 13 SchizophreniaKaplan & Sadock's Synopsis of Psychiatry, 10th Edition